Which of the following is the classical CSF finding seen in Tubercular Meningitis?
1. Increased protein, decreased sugar, increased lymphocytes
2. Increased protein, sugar and lymphocytes
3. Decreased protein, increased sugar and lymphocytes
4. Increased sugar, protein and neutrophils

Correct answer: 1. Increased protein, decreased sugar, increased lymphocytes

Explanation: Typical CSF findings in tubercular meningitis are increased protein, decreased sugar and increased lymphocytes. Ref: Harrison's Principles of Internal Medicine, 16th Edition, Page 2487; Tuberculosis Research and Treatment Volume 2011 (2011), Article ID 798764, 9 pages.